All except one are true regarding pancuronium
1. Is aminosteroid skeletal muscle relaxant
2. It is vagal stimulant.
3. Cardiovascular side effects are common
4. 2nd long acting neuromuscular blocker after doxacurium.

Correct answer: 2. It is vagal stimulant.

Explanation: Pancuronium is vagolytic agent, causing hypertension and tachycardia.